Nerve supply of opponens pollicis ?
1. Superficial branch of ulnar nerve
2. Deep branch of ulnar nerve
3. Median nerve
4. Posterior interosseous nerve

Correct answer: 3. Median nerve

Explanation: Hand muscles supplied by median nerve are :- i) Thenar muscles (except adductor pollicis) :- Flexor pollicis brevis, opponens pollicis and abductor pollicis brevis. Adductor pollicis is supplied by ulnar nerve. ii) First two lumbricals. Hand muscles supplied by ulnar nerve are :? 1) Superficial terminal branch : It supplies palmaris brevis and skin of palmar surface of medial 1% fingers. 2) Deep terminal branch : It supplies adductor pollicis, all interossei, medial two (3rd & 4th)lumbricals and all hypothenar muscles except palmaris brevis (i.e. abductor digiti minimi, flexor digiti minimi, opponens digiti minimi).